Which of the following lasers is used in the treatment of benign prostatic hyperplasia as well as urinary calculi?
1. C02 laser
2. Excimer laser
3. Ho: YAG laser
4. Nd: YAG laser

Correct answer: 3. Ho: YAG laser

Explanation: Ho: YAG laser is used in the destruction of urinary tract stones and ablation of soft tissue in BPH. Holmium: YAG laser is the most common lithotripter for fragmenting urinary stones located in the ureter, kidney and bladder. In BPH, KTP laser vaporization is done in men with small to medium size prostate. Holmium laser enucleation is done in men with larger prostate. Ref: Lasers in Dermatology and Medicine By Keyvan Nouri, Pages 560-5.